A drug given at the loading dose of 20mg reaches plasma concentration of  0.5mg/L, If apparent volume of distribution is 40L, Calculate Bio availability of the drug
1. 70%
2. 80%
3. 90%
4. 100%

Correct answer: 4. 100%